Basal bone is
1. That part of the bone embracing apices of root of teeth
2. Lower border of the mandible
3. Ramus of the mandible
4. That part of the bone containing teeth

Correct answer: 1. That part of the bone embracing apices of root of teeth